All are causes of hypercalcemia except
1. Hyperparathyroidism
2. Thyrotoxicosis
3. Vitamin A deficiency
4. Lithium

Correct answer: 3. Vitamin A deficiency

Explanation: Causes of hypercalcaemia.EndocrinePrimary hyperparathyroidismThyrotoxicosisPhaeochromocytomaRenal failureSecondary hyperparathyroidismTeiary hyperparathyroidismMalignant diseaseSkeletal metastatic diseaseMultiple myeloma, lymphoma, leukaemiaSolid tumours (PTH-related peptidemediated): lung, renal, squamouscell carcinoma of the head and neck,oesophagus, genital tractNutritionalExcessive vitamin D ingestionVitamin A intoxicationMilk-alkali syndromeAluminum intoxicationGranulomatousSarcoidosisTuberculosisInherited diseaseHypercalciuric hypercalcaemiaImmobilisationPaget's diseaseDrug-relatedLithiumRef: Bailey and Love 27e pg: 826